Exotropia occurs due to -
1. Third nerve palsy
2. Optic neuritis
3. Abducens injury
4. Papilloedema

Correct answer: 1. Third nerve palsy

Explanation: Ans. is 'a' i.e. Third Nerve Palsy Causes and associations of exotropia (Divegent squint)o Third nerve palsyo Congenitalo Previous strabismus surgeryo Thyroid ophthalmopathyo Iatrogenic trauma following retinal detachment surgery